The most diagnostic sign of pregnancy is :
1. Amenorrhoea
2. Quickening
3. Foetal heart sounds
4. Distention of abdomen

Correct answer: 3. Foetal heart sounds

Explanation: Foetal heart sounds